Man - snail - crab man cycle is seen in
1. Paragonimus westermanii
2. Fasciola hepatica
3. Schistosoma mansoni
4. Echinococcus granulosus

Correct answer: 1. Paragonimus westermanii

Explanation: ParasiteFirst intermediate hostSecond intermediate hostParagonimus westermaniFresh water snail Crab/ Cray fishDiphyllobothrium latumCopepods (Cyclops)Fresh water fish Clonorchis sinensisSnail Fresh water fish Fasciola hepaticaSnail Aquatic vegetation Fasciolopsis buskiSnail Aquatic vegetation (Ref: K.D Chatterjee 13th edition, p196-198)